True regarding cavity of diencephalons is
1. Septum pellucidum forms partition
2. Septum pellucidum cavity opens superiorly
3. Lateral wall is lamina terminalis
4. Inter thalamic adhesions join lateral walls

Correct answer: 4. Inter thalamic adhesions join lateral walls

Explanation: D i.e. Inter thalamic adhesions join lateral Walls Lamina terminalis is a thin sheet of gay matter, which extend between two hemisphere from rostrum of corpus callosum to top of optic chiasma forming the anterior wall of 3rd ventricle. Septum pellucidum is a thin vertical sheet of (gray & white) nervous tissue, which connects corpus callosum (rostrum, genu & front of body) to anterior column of fornix and forms partition between anterior horns of lateral venticles (not 3rd ventricle or cavity of diencephalon). Lateral wall of cavity of diancephalon (3rd ventricle) is formed by thalmus, hypothalmus, hypothalmic sulcus & subthalmus.